Most malignant tumor of salivary glands -
1. Pleomorphic adenoma
2. Warthin tumor
3. Adenoid cystic carcinoma
4. Acinic cell tumor

Correct answer: 3. Adenoid cystic carcinoma

Explanation: Ans. is 'c' i.e., Adenoid cystic carcinoma